Monochorionic monoamniotic twin occurs if division occurs:
1. Before 24 hours
2. 1-4 days
3. 4-8 days
4. > 8 days

Correct answer: 4. > 8 days

Explanation: If the division occur after eight day of fertilisation,when the amniotic cavity has already formed,a monoamniotic-monochorionic twin develops. Reference:DC Dutta's textbook of obstetrics,8th edition, page no:233.